Low serum iron and low serum ferritin is seen in?
1. Iron deficiency anaemia
2. Chronic kidney disease
3. Sideroblastic anaemia
4. Fanconi anaemia

Correct answer: 1. Iron deficiency anaemia

Explanation: Low serum iron and low serum ferritin is seen in Iron deficiency anemia. Disease Serum iron Serum ferritin TIBC Iron deficiency anemia Decreased Decreased Increased Chronic kidney disease (deficiency of erythropoietin) Normal Normal/decreased if lost in urine due to kidney pathology Normal Sideroblastic anemia Increased Increased Decreased Fanconi anaemia (congenital aplastic anemia) Normal Normal Normal